Which of the following anticancer drugs are competitive inhibitors of tyrosine kinase ?
1. Imatinib and suntinib
2. Letrozole
3. Bicalutamide
4. Fulvestrant

Correct answer: 1. Imatinib and suntinib

Explanation: Ans. is 'a' i.e., Imatinib and suntinib Molecular targeted agents Tyrosine kinase inhibitors Competitive inhibitors - Imatinib, Nilotinib, Sunitinib, Dasatinib, Erlotinib, Gefitinib, Lapitinib, Sorafinib (Remember all ends with ' nib'). Monoclonal antibodies - Cetuximab, panitumomab. HER2/neu (ERB B2) inhibitors Monoclonal antibody - Transtuzumab. Targeted antibody - Gemtuzomab (anti CD-33), Rituximab (anti - CD20), Alemtuzumab (anti CD-52). Vascular endothelial growth factor (VEGF) inhibitor - Monoclonal antibody - Bevacizumab. Proteosome inhibitors - Bortezomib. Histone deacylase inhibitor - Vorinostat DNA - methyl transferase inhibitor - 5-azacytidine, 2-deoxy-5 azacytidine. All - trans - retinoic acid. Biological response modifier - Recombinant IL-2 (aldesleukin, denileukin).